Dumping syndrome occurs least with -
1. Selective vagotomy
2. Truncal vagotomy
3. Highly selective vagotomy
4. Syndrome occurs with all of the above commonly t

Correct answer: 3. Highly selective vagotomy

Explanation: It is least seen with highly selective vagotomy because the motility of the stomach is least affected in highly selective vagotomy and is most common with gastrectomy. Ref : Love & Bailey 25/e p1059